Which of the following is not an Element of Primary health care?
1. Promotion of food supply and proper nutrition
2. Maternal and child health care, including family planning
3. Immunization against major infectious diseases
4. Health planning and management

Correct answer: 4. Health planning and management

Explanation: Elements of primary health care Although specific services provided will vary in different countries and communities, the Alma-Ata Declaration has outlined 8 essential components of primary health care Education concerning prevailing health problems and the methods of preventing and controlling them; Promotion of food supply and proper nutrition; An adequate supply of safe water and basic sanitation; Maternal and child health care, including family planning; Immunization against major infectious diseases; Prevention and control of locally endemic diseases; Appropriate treatment of common diseases and injuries; and Provision of essential drugs